If we say that here is no significant association between two variable and if truly an association exists. Then it is called:
1. Type I error
2. Type II error
3. Systematic error
4. Random error

Correct answer: 2. Type II error

Explanation: Null hypothesis (H0) there is No significant association In the given question, In reality an association exists, So Null hypothesis is false We say no significant association exists, so we are accepting Null hypothesis Hence its Type II error